Somnambulism is:
1. REM sleep disorder
2. Midway between sleeping and walking
3. Type of automatism
4. NREM Sleep disorder

Correct answer: 4. NREM Sleep disorder

Explanation: * Sleepwalking. Sleepwalking in its classic form, as the name implies, is a condition in which an individual arises from bed and walk without fully awakening. It is sometimes called somnambulism.* Sleepwalking usually occurs during slow wave sleep and lies in the middle of a parasomnia continuum that ranges from "confused arousal" to "sleep terror* Sleepwalks characteristically begin toward the end of the first or second slow wave sleep episodes. DSM-5 Diagnostic Criteria for Non-Rapid Eye Movement Sleep Arousal Disorders A. Recurrent episodes of incomplete awakening from sleep, usually occurring during the first third of the major sleep episode, accompanied by either one of the following: 1. Sleepwalking: Repeated episodes of rising from bed during sleep and walking about. While sleepwalking, the individual has a blank, staring face; is relatively unresponsive to the efforts of others to communicate with him or her; and can be awakened only with great difficulty. 2. Sleep terrors: Recurrent episodes of abrupt terror arousals from sleep, usually beginning with a panicky scream. There is intense fear and signs of autonomic arousal, such as mydriasis, tachycardia, rapid breathing and sweating, during each episode. There is relative unresponsiveness to efforts of others to comfort the individual during the episodes. B. No or little (e.g. only a single visual scene) dream imagery is recalled. C. Amnesia for the episodes in present. D. The episodes cause, clinically significant distress or impairment in social, occupational, or other important areas of functioning. E. The disturbance is not attributable to the physiological effects of a substance (e.g., a drug of abuse, a medication). F. Coexisting mental and medical disorders do not explain the episodes of sleepwalking or sleep terrors. * No treatment is required only parental reassurance * If symptom is really problematic benzodiazepines can be used